X-ray detect congenital anorectal malformation at:
1. Immediately after birth
2. 24-48 hours
3. 48 - 72 hours
4. After 72 hours

Correct answer: 2. 24-48 hours

Explanation: (24-48 hours) (178-G) (1286-87-Nelson 17,h) (152-Ghai 7th)Anorectal malformation* AT birth the bowel is not distented; there fore clinical and radiologic evaluations are not reliable during the first 16-24 hour of life.* A cross table Lateral film with the patient in prone (inverted) position taken after 16-24 hours of life is valuable for determining the position of rectal pouch.* During the first 24 hour of life, all these patients need renal and bladder ultrasound evaluation to identify an obstructive uropathy.